Which of the following casein predominates in cow milk:
1. a casein
2. b casein
3. Equally present
4. None of the above

Correct answer: 1. a casein

Explanation: a casein predominates in cow milk, whereas b casein predominates in human milk and the former may act as an allergen. Ref:Nutrition and Child Development, K.E. Elizabeth, 4th edition pg: 17